All of the following are decreased in nephrotic syndrome, except –
1. Serum transferrin
2. Serum fibrinogen
3. Serum ceruloplasmin
4. Serum albumin

Correct answer: 2. Serum fibrinogen

Explanation: Fibrinogen level is increased in nephrotic syndrome d/t increased hepatic synthesis of fibrinogen.
The largest proportion of protein lost in urine is albumin.
Sometimes, globulins can also be excreted → Immunoglobulin excretion increases the susceptibility of infection.
Other proteins which are decreased -
Transferrin → Microcytic hypochromic anemia


Cholecalciferol binding protein → hypocalcaemia
Thyroxine-binding globulin → Decreased thyroxin level
Antithrombin III → Hypercoagulability
Ceruloplasmin